For central venous pressure monitoring all are true except
1. Internal jugular vein is preferred site
2. Indicated to administer hyperosmolar drugs
3. Pulmonary capillary wedge pressure normally is 10-20 mmHg
4. Swan- ganz catheter entering pulmonary artery shows as dicrotic notch.

Correct answer: 3. Pulmonary capillary wedge pressure normally is 10-20 mmHg

Explanation: Pulmonary capillary wedge pressure in 4-12 mmHg normally.